All the following are causes of secondary achalasia except
1. Allgrove's Syndrome
2. Multiple endocrine neoplasia
3. Kala azar
4. Chaga's disease

Correct answer: 3. Kala azar

Explanation: Causes of Secondary achalasia:

Triple 'A' or Allgrove's Syndrome
MEN
Chaga's disease
Cancer Invading LES.